Disodium cromoglycate is used by which of the following routes ?
1. Inhalation
2. Oral
3. IV
4. IM

Correct answer: 1. Inhalation